Young lady presents with acute abdominal pain and history of 11/2 months amenorrhoea, on USG examination there is collection of fluid in the pouch of Douglas and empty gestational sac. Diagnosis is:
1. Ectopic pregnancy
2. Pelvic hematocele
3. Threatened abortion
4. Twisted ovarian cyst

Correct answer: 1. Ectopic pregnancy

Explanation: Ans. is a, i.e. Ectopic pregnancyRef. Dutta Obs. 7/e, p 182, 183Young lady presenting with history of:AmenorrheaAbdominal painOn USG:Collection of fluid in pouch of DouglasEmpty gestational sacIndicate:Ectopic pregnancy